Melanoblasta are derived from -
1. Pasal epidermal cells
2. Neural crest cells
3. Prickl cells of epidermis
4. Somato pleuric mesoderm

Correct answer: 2. Neural crest cells

Explanation: B i.e. Neural Crest Cell